Habits are classified into pressure and non pressure habits  by
1. Morris and Bohanna
2. Kingsley
3. Klein
4. Finn

Correct answer: 1. Morris and Bohanna